A medical student could not deliver a seminar, fearing seniors. He is aware of the irrationality of his fear. Likely diagnosis is -
1. Agoraphobia
2. Social phobia
3. Claustrophobia
4. Specific phobia

Correct answer: 2. Social phobia

Explanation: It is typical example of social phobia in which the medical student has irrational fear of performing activity (delivering seminar) in front of seniors (scrunity by seniors).